Not true about Malignant otitis externa
1. Caused by Pseudomonas Aeruginosa
2. Completely monitored with TC99 scan till it is recovered
3. Also known as Necrotising Otitis Externa
4. Can lead to paralysis of facial muscles

Correct answer: 2. Completely monitored with TC99 scan till it is recovered

Explanation: Early diagnosis is by TC99 scan.
Resolution phase monitored by Gallium citrate 67 Scan.